As per WHO, leprosy is a public health problem if prevalence is
1. 0.10%
2. 0.01%
3. 0.50%
4. 1%

Correct answer: 2. 0.01%

Explanation: Ans. is 'b' i.e., .01% Leprosy is defined as public health problem w hen Prevalence rate is 1 or more per 10,000 population (.01%). "AN a result r the hard work and meticulously planned and executed activities. the country achieved the goal of elimination ty-lepros), as public health problem. defined as less than 1 COA eper 100(/0 population. at the National level in the month of December. 2005..-as on 31st December 2005, prevalence rate recorded in the country 4vas 0,95/10,000 pop Ulaiion? 1 Only 3 states/UTs are yet to achieve elimination -3 Bihar, Chattisgarh, and Dadra & Nagar haveli.